Anterior uveitis involve which of the following ocular structure:
1. Iris and ciliary body
2. Retina
3. Anterior chamber
4. Lens

Correct answer: 1. Iris and ciliary body

Explanation: Ans. A: Iris and Ciliary Body Anterior uveitis include iritis, anterior cyclitis and iridocyclitis Anatomical classification of uveitis Uveitis may be classified anatomically into anterior, intermediate, posterior and panuveitic forms, based on which part of the eye is primarily affected by the inflammation. "Anterior uveitis" (or iridocyclitis) is the inflammation of the iris and anterior chamber. Anywhere from two-thirds to 90% of uveitis cases are anterior in location. Symptoms include red eye, injected conjunctiva, pain and decreased vision. Signs include dilated ciliary vessels, presence of cells and flare in the anterior chamber, and keratic precipitates ("KP") on the posterior surface of the cornea. "Intermediate uveitis" (pars planitis) consists of vitritis - inflammatory cells in the vitreous cavity, sometimes with snowbanking, or deposition of inflammatory material on the pars plana. "Posterior uveitis" (or chorioretinitis) is the inflammation of the retina and choroid. "Pan-uveitis" is the inflammation of all the layers of the uvea. Systemic disorders associated with uveitis Ankylosing spondylitis Behcet's disease Chronic granulomatous disease Enthesitis Inflammatory bowel disease Juvenile rheumatoid arthritis Kawasaki's disease Multiple sclerosis Polyarteritis nodosa Psoriatic arthritis Reactive arthritis Sarcoidosis Systemic lupus erythematosus Vogt-Koyanagi-Harada syndrome Whipple's disease Lyme disease Infectious causes Uveitis may be a (normal) immune response to fight an infection inside the eye. While representing the minority of patients with uveitis, such possible infections include: Brucellosis Herpes simplex Herpes zoster Leptospirosis Lyme disease Toxocariasis Toxoplasmosis Uveitis Syndromes Acute posterior multifocal placoid pigment epitheliopathy (APMPPE) Birdshot retinochoroidopathy Fuchs Heterochromic Iridocyclitis Multifocal Choroiditis and Panuveitis Syndrome Masquerade syndromes Masquerade syndromes are ophthalmic disorders that clinically present as either an anterior or posterior uveitis, but are not primarily inflammatory. The following are some of the most common: Anterior segment - Intraocular foreign body - Juvenile xanthogranuloma - Leukemia - Retinal detachment - Retinoblastoma Posterior segment - Lymphoma - Multiple sclerosis - Retinitis pigmentosa - Retinoblastoma Symptoms Redness of the eye Blurred vision Sensitivity to light (photophobia) Dark, floating spots along the visual field Eye pain Treatment Uveitis is typically treated with glucocorticoid steroids, either as topical eye drops (prednisolone acetate) or oral therapy with corticosteroids. But before administration of corticosteroids, corneal ulcers are ruled out, typically by a Florescence Dye test. In addition to corticosteroids, topical cycloplegics, such as atropine or homatropine, may be used. In some cases an injection of PSTTA (posterior subtenon triamcinolone acetate) may also be given to reduce the swelling of the eye. Antimetabolite medications, such as methotrexate are often used for recalcitrant or more aggressive cases of uveitis.